A Bennett's fracture is difficult to maintain in a reduced position mainly because of the pull of the
1. Flexor pollicis longus
2. Flexor pollicis brevis
3. Extensor pollicis brevis
4. Abductor pollicis longus

Correct answer: 4. Abductor pollicis longus

Explanation: D i.e. Abductor pollicis longus